Not true about dumping syndrome is
1. Also called Post cibal syndrome
2. Least common with trunkal vagotomy
3. Occurs d\/t aacelerated gastric emptying
4. Octreotide may be useful

Correct answer: 2. Least common with trunkal vagotomy

Explanation: .DUMPING SYNDROME (Post-cibal Syndrome) It is common in females, seen after Billroth II surgery. Types 1. EARLY DUMPING SYNDROME:- * It is common and more severe type * Vasomotor symptoms appear immediately after food, lasts for 30-40 minutes, aggravated by bulky food. It is relieved by lying down, aggravated by more food Clinical features: includes * Sweating, tachycardia, colicky pain and diarrhoea Surgical treatment: - 1. Conversion of Billroth II to Billroth I -2. Interposition of reversed jejunal loop 2. LATE DUMPING SYNDROME * It is of less severe type * It usually occurs 2 hours after meal * It is relieved by glucose and aggravated by exercise. Clinical features: * Tremor, fainting, nausea * Featutres of hypoglycaemia Treatment: Symptoms are less severe and so treated conservatively, by giving glucose and food ref:SRB'S manual of surgery,ed 3,pg no 773